All except one are clinical tests used to test perforator incompetance
1. Pratt's test
2. Trendelenburg- II test
3. Fegan test
4. Morrisey's cough impulse test

Correct answer: 4. Morrisey's cough impulse test

Explanation: Morrisey's cough impulse test is used for saphenofemoral incompetence.